In which the following head and neck cancers, is lymph node metastasis least common
1. Tongue
2. Buccal mucosa
3. Hard palate
4. Lower alveolus

Correct answer: 3. Hard palate

Explanation: LN metastasis is most common in : CA tongue >Floor of mouth > Lower alvealus >Buccal mucosa > Upper Alveolus > Hard palate > lip Ref: Bailey and love 27th edition Pgno : 764-765,